A man developed swelling of face frequently with occassional laryngeal edema, most probable diagnosis is aEUR'
1. C-1 esterase deficiency
2. Allergy
3. Anaphylaxsis
4. Not esterase deficiency

Correct answer: 1. C-1 esterase deficiency

Explanation: C1 esterase deficiency (Ref: Harrison 17"Ve p. 2066; Robbin's 7"'/e p. 66, 671 Repeat from May 10 Q no.111